What is the length and extent of esophagus?
1. 20 cm and C6-T8
2. 20 cm and C6 -T11
3. 25 cm and C6 -T11
4. 25 cm and C6 -T18

Correct answer: 3. 25 cm and C6 -T11

Explanation: Ans. is 'c' i.e., 25 cm and C6 -T11 Length of oesophagusIn adults25 cmAt birth8-10 cmAt 15 years of age19 cm* The esophagus extends from the lower border of the cricoid cartilage (at the level of the sixth cervical vertebra) to the cardiac orifice of the stomach at the side of the body of the 11th thoracic vertebra.